All of the following regarding esophagus are true except:
1. Length is 25 cms
2. Lower one third is lined by transitional epithelium
3. Upper two third is lined by stratified squamous epithelium
4. pass behind the Lt main bronchus

Correct answer: 2. Lower one third is lined by transitional epithelium

Explanation: Ans b) Lower one third is lined by transitional epitheliumEsophagus- LiningMucosa - stratified squamous non keratinized epitheliumSubmucosa - mucous gland throughout its length and lymphoid tissueMuscularis externa - toughest layerUpper one third - Striated muscleMiddle one third - Striated & smooth muscleLower one third - smooth muscleAdventitiaDistance from incisor teethBony levelAnatomical landmarks115cmsC6Phnryngo esophageal junction222.5cms-Aorwc arch crosses it327.5cms-Lt bronchus crosses it440cmsT10Pierces diaphragmTotal length = 25 cmsEsophageal constrictions